Which organophosphate is NOT an aryl phosphate?
1. Parathion
2. Tik-20
3. Malathion
4. Paraoxon

Correct answer: 3. Malathion

Explanation: All are aryl phosphate except malathion which is a alkyl phosphate. Alkyl phosphates are: HETP TEPP (Tetron) OMPA Dimefox Isopestox Malathion (Kill bug; Bugsolin) Sulfotepp Demeton Trichlorfon Aryl phosphates are: Parathion (nitrostigmine) (Follodol; Kill phos; Ekato) Paraoxon Methyl-parathion (Metacide) Chlorthion Diazinon (Diazion; Tik 20) Ref: The essentials of forensic medicine and toxicology by Dr K S Narayan Reddy, 27th edition, Page 457.